"adder head" appearance on excretory urography is seen in
1. Hydronephrosis
2. Infantile polycystic kidney
3. Ureterocele
4. Horseshoe kidney

Correct answer: 3. Ureterocele

Explanation: (Ureterocele) (1310-LB) (1290-B & L 25th)Ureterocele is a cystic enlargement of the intramural portion of the ureter thought to result from congenital atresia of the ureteric orifice.* The "adder-head' on excretory urography is typical* Usually the cyst wall is composed of urothelium only and the diagnosis is confirmed by the cystoscopic appearance of a translucent cyst enlarging and collapsing as urine flows in from the upper ureter.